All the following are important in the development of Type I diabetes mellitus except:
1. High sugar
2. Gluten
3. Smoked & red meat
4. Cow milk

Correct answer: 1. High sugar

Explanation: Ans: a (High sugar) Ref: Davidson, 19th ed,p. 653Type IA diabetes results from autoimmune beta cell destruction, which results in insulin deficiency.Individuals with Type IB diabetes lack immunologic markers indicative of autoimmune destructive process of beta cells. However they develop insulin deficiency and are ketosis prone.Type I diabetes develops as a result of synergestic effects of genetic, environmental and immunological factors that ultimately destroy pancreatic beta cells.The important dietary factors responsible are, bovine serum albumin (BSA) a major constituent of cow milk. It has been implicated in triggering type I diabetes. Various nitrosamines (found in smoked and cured meats) and coffee have been proposed as potentially diabetogenic factors. In susceptible animals such as diabetes prone BB rat, various dietary protein (e.g., gluten) may be essential for expression of clinical type I diabetes.Other environmental triggers for Type I DM include viruses, coxsackie and rubella most prominently.Notes: The major susceptibility gene for Type IA DM is located in HLA region in chromosome 6.Most individuals with type IA diabetes have HLA DR3 and /or HLA DR4 haplotype.